Most common site of pheochromocytoma after adrenal gland is
1. Hilum of kidney
2. Organs of Zuckerkandl
3. Neck
4. Urinary bladder

Correct answer: 2. Organs of Zuckerkandl

Explanation: Refer Robbins page no 1134 hormone-secreting tumour that can occur in the adrenal glands. Phaeochromocytomas usually develop in the small glands on top of the kidneys (adrenal glands). They most commonly affect people between the ages of 20 and 50, but can occur at any age.